A 36 year old woman presents with a headache, backache, epigastric fullness, and decreased sexual desire. She has lost -2.5 kg over the past 3 years, and her appetite is otherwise normal. Her husband had a major vehicular accident 8 years back. Which of the following diagnoses best describe the mental status of this patient?
1. Depersonalization disorder
2. Adjustment disorder and depression
3. Somatization disorder
4. Posttraumatic stress disorder (PTSD)

Correct answer: 3. Somatization disorder

Explanation: Multiple somatic symptoms (Pain, GI symptom, sexual symptom) suggest the diagnosis of somatization disorder.
This question can be solved in a very simple way. The patient is presenting with somatic symptoms. The psychiatric diseases with somatic symptoms are somatoform disorders, factitious disorder, and malingering. Amongst the given options only somatization disorder (a somatoform disorder) presents with somatic symptoms.